Which of the following statements is true regarding pertusis?
1. Neurological complication rate of DPT is I in 50000
2. Vaccine efficay is more than 95%
3. Erythromycin prevents spread of disease between children
4. The degree of polymorphonuclear Leukocytosis correlates with the severity of cough

Correct answer: 3. Erythromycin prevents spread of disease between children

Explanation: Neurological complications of DPT vaccine is due to pertussis component. The estimated risk is 1: 170000 doses administered. Vaccine efficacy is 85%. Although several antibiotics are effective against B.pertussis, erythromycin is the drug of choice Reference : Park's Textbook of preventive and social medicine, 24th edition.Pg no.174